The requirement of potassium in a child will come around which of the following values?
1. 1-2 mEq/Kg
2. 4-7 mEq/Kg
3. 10-12 mEq/Kg
4. 50-62 mEq/Kg

Correct answer: 1. 1-2 mEq/Kg

Explanation: Values are given below: Newborn baby to 6 months of age : 500 mg (13 mEq) 7 to 12 months of age: 700 mg (18 mEq) 1 to 2 years of age: 1,000 mg (26 mEq) 2 to 5 years of age: 1,400 mg (mEq) 6 to 9 years of age: 1,600 mg (41 mEq) Children over 10 years of age: 2,000 mg (51 mEq)